True regarding parathyroid glands except
1. The superior glands are located dorsal to the RLN
2. The inferior glands are located ventral to the RLN
3. Blood supply from both superior and inferior thyroid arteries
4. The superior glands lie at the level of upper border of thyroid cartilage

Correct answer: 4. The superior glands lie at the level of upper border of thyroid cartilage

Explanation: The superior glands usually are dorsal to the RLN at the level of the cricoid cartilage, Whereas the inferior parathyroid glands are located ventral to the nerve. They measure up to 7 mm in size and weigh approximately 40 to 50 mg each. Parathyroid glands usually derive their blood supply from branches of the inferior thyroid artery, although branches from the superior thyroid artery supply at least 20% of upper glands.